Calcium blocking agents of use in the treatment of hypertension include
1. Prazosin
2. Lidoflazine
3. Captopril
4. Nifedipine

Correct answer: 4. Nifedipine

Explanation: Nifedipine The overriding action of Nifedipine is arteriolar dilation, t.p.r. decreases and BP falls.Doesn't depress SA node or A-V conduction.Reflex sympathetic stimulation of heart predominates leading to tachycardia, increased contractility and C.O., coronary flow is increased.Its use is associated with higher mortality among post-MI patients.Relaxant effect on the bladder, Nifedipine can increase urine voiding difficulty in elderly malesContraindicationsSide effectsHeart failure 2nd or 3rd-degree heart blockTachycardia, flushingGI disturbancesHyperkalemia, edema, headache(Refer: Harrison's Principles of Internal Medicine, 18th edition, pg no: 2054-2057)